Hub of wheels not formed by?
1. Buccinator
2. Orbicularis oris
3. Levator anguli oris
4. Mentalis

Correct answer: 4. Mentalis

Explanation: Hub of wheels = Modiolus

Present on corner of mouth
Lie at level of maxillary first premolar tooth
Mentalis is not a part of it